To diagnose depression, symptoms should last at least for
1. 4 weeks
2. 6 months
3. 2 weeks
4. 6 weeks

Correct answer: 3. 2 weeks

Explanation: Symptoms should last for at least 2 weeks, for cyclothymia -mild form of depression, symptoms should last for 2 years Ref: Essentials of postgraduate psychiatry By JN Vyas 1st ed Pg 604-607